Fracture lateral condyle of the humerus is a common injury in children. Which one of the following is the most ideal treatment for a displaced fracture lateral condyle of the humerus in a 7-year-old child?
1. Open reduction and plaster immobilization
2. Closed reduction and plaster immobilization
3. Open reduction and internal fixation
4. All

Correct answer: 3. Open reduction and internal fixation

Explanation: C i.e. Open reduction & internal fixation Treatment of Fracture Lateral Condyle Humerus Fracture lateral condyle humerus mostly occur in children and adolescents. It's management depends on the amount of fracture displacement.